According to the type of movement of the anchorage unit, it can be classified as all except
1. Simple
2. Compound
3. Reciprocal
4. Stationary

Correct answer: 2. Compound